Following are true about thyroglossal cyst EXCEPT
1. Often occur in children; they may also present in adults
2. Rarely may contain only functioning thyroid tissue
3. Treated surgically by Sistrunks operation
4. Moves downwards on tongue protrusion

Correct answer: 4. Moves downwards on tongue protrusion